Raised aPTT is seen in all of the following bleeding disorder except:
1. Hemophilia A
2. Hemophilia B
3. Von-Willebrand disease
4. Henoch - Schonlein purpura

Correct answer: 4. Henoch - Schonlein purpura

Explanation: Ans. D: Henoch - Schonlein purpuraThe partial thromboplastin time (PTT) or activated partial thromboplastin time (aPTT/ APTT) is a performance indicator measuring the efficacy of both the "intrinsic" (contact activation pathway) and the common coagulation pathways. Apart from detecting abnormalities in blood clotting, it is also used to monitor the treatment effects with heparin, a major anticoagulant.